Which of the following is a live attenuated bacterial vaccine
1. BCG vaccine
2. OPV
3. Hib Vaccine
4. Pertusis vaccine

Correct answer: 1. BCG vaccine

Explanation: BCG for tuberculosis is a live atteunated bacterial vaccine OPV is against polio caused by polio virus. OPV is a live atteunated viral vaccine Hib vaccine is a glycoconjugate vaccine Pertussis vaccine is a killed whole organism vaccine Ref : Park's Textbook of preventive and social medicine; 24th edition; Pg no.108